In cell membrane, on the basis of mass, proteins and lipids are present at a ratio of
1. 1:02
2. 1:01
3. 2:01
4. 4:01

Correct answer: 2. 1:01

Explanation: According to 'Principles of Medical Physiology', "The cell membrane contains proteins and lipids in 50:50 ratios. This refers to the ratio of their masses and not numbers".